The following statement is not true about the use of clonidine in treatment of hypertension
1. Reduction in Central sympathetic outflow
2. Increase in LDL cholesterol on prolonged use
3. Sedation and xerostomia are the common side effects
4. It can be combined with vasodilators

Correct answer: 2. Increase in LDL cholesterol on prolonged use

Explanation: Clonidine is a selective alpha 2 agonist the acts by decreasing Central sympathetic outflow. Vasodilators can increase in reflex increase in renin release. This can be prevented by combining the vasodilators with clonidine or beta blockers. Sedation and dry mouth are the prominent adverse side effects of clonidine and Alpha methyldopa. These drugs LDL decrease and HDL increase cholesterol. Refer kDT 6/e p546